Hofmann elimination is-
1. Inactivation of drug by metabolizing enzyme
2. Unchanged excretion by kidney
3. Excretion in feces
4. Inactivation by molecular rearrangement

Correct answer: 4. Inactivation by molecular rearrangement

Explanation: Ans. is 'd' i.e., Inactivation by molecular rearrangement This refers to inactivation of the drug in the body fluids by spontaneous molecular rearrangement without the agency of any enzyme.